In a case of ectopic pregnancy, medical treatment is contraindicated if:
1. Sac size is 3.0 cm
2. Serum HCG levels > 1500 miu / ml
3. Significant hemoperitoneum is present
4. Absent fetal activity

Correct answer: 3. Significant hemoperitoneum is present

Explanation: Criteria for medical treatment 
1) Ectopic mass <3.5cm – the presence of fetal cardiac activity is a contra-indication to medical treatment
2) No fetal cardiac activity
3) Initial hCG <3000iu/l
4) The patient must be hemodynamically stable, with no signs or symptoms of active bleeding or hemoperitoneum.
5) She should not have any contraindications to the use of methotrexate.